Role of 2, 3 DPG in hemoglobin -
1. Unloading oxygen to tissues
2. Increased affinity for oxygen
3. Buffering capacity
4. Osmotic fraglity

Correct answer: 1. Unloading oxygen to tissues

Explanation: A i.e. Unloading oxygen to tissues